Splenic rupture is most common in infection with -
1. Plasmodium vivax
2. Plasmodium ovale
3. Plasmodium malariae
4. Plasmodium falciparum

Correct answer: 1. Plasmodium vivax

Explanation: 1. Splenomegaly is one of the most common features of malaria. However, spontaneous splenic rupture, although unusual, represents a severe complication often leading to death. It is mostly seen in acute infection and primary attack, and it is most commonly associated withPlasmodium vivax. 2. In benign malaria, after a few weeks of febrile paroxysm, spleen gets enlarged and become palpable. Splenomegaly is due to massive proliferation of macrophages that engulf parasitized and non-parasitized coated RBCs.